Crohn's disease can be seen in:
1. Jejunum only
2. Colon only
3. Terminal ileum and right side
4. Mouth to anus

Correct answer: 4. Mouth to anus

Explanation: CROHN'S DISEASE Chronic, transmural inflammatory disease of the GIT for which the cause is unknown. Can involve any part of the alimentary tract from the mouth to the anus but most commonly affects the small intestine and colon. Involvement of both large and small intestine :55% Involvement of only small intestine :30% Involvement of only large intestine : 15% In patients with colonic disease, rectal sparing is characteristic